Naegele's pelvis is :
1. Triradiate pelvis
2. One ala absent
3. Two alae absent
4. None

Correct answer: 2. One ala absent

Explanation: One ala absent